The most reliable method of identification of an individual is:
1. Gustafson's method
2. Galton system
3. Beillion system
4. Scars

Correct answer: 2. Galton system

Explanation: Ans. Galton system